Management of rhinolith:
1. Medical
2. Surgical
3. No treatment required
4. Symptomatic treatment only

Correct answer: 2. Surgical

Explanation: Ans: b (Surgical) Ref:Dhingra, 3rd ed, p. 200; 4th ed, p. 153Small rhinoliths are removed through anterior nares under GA (they are broken into small pieces before removal)Large rhinoliths are removed by lateral rhinotomyRhinolithStone formation in nasal cavity due to deposits of Ca2+ /Mg2+C/FO/EU/L nasal obstruction and foul smelling discharge +/- blood stainedGreenish black mass, brittle, with stony hard feelRxSurgical removal